Locally invasive gastric cancer. Investigation of choice to know depth of cancer invasion
1. CECT
2. MRI
3. Barium
4. EUS

Correct answer: 4. EUS

Explanation: EUS is useful to detect the involvement of layers of the stomach, nodal status and to define whether the tumour is early or advanced. All 5 layers are visualised as alternate hypo - hyperechogenic areas Reference SRB edition :5 page : 851